All of the following structures pass through optic foramen except:
1. Optic nerve
2. Ophthalmic artery
3. Ophthalmic nerve
4. Dura mater

Correct answer: 3. Ophthalmic nerve

Explanation: Ophthalmic nerve